Contraindication for the triptans is which of the following?
1. Ischemic heart disease
2. Epilepsy
3. Hepatic failure
4. All of the above

Correct answer: 4. All of the above

Explanation: Ans. is 'd' i.e., All of the above Triptans* These are 5-HT1D/1B receptor agonists.* Sumatriptan is the 1st triptan to be developed. It is the drug of choice for aborting an acute attack of migraine.* Other triptans in clinical use are Almotriptan, eletriptan,frovatriptan, rizatriptan, eletriptan, naratriptan, and zolmitriptan.* All triptans can cause coronary vasospasm and are contraindiated in IHD. Other contraindications are hypertension, epilepsy, hepatic or renal impairment and during pregnancy.* The most important adverse effects are feeling of chest pressure, tightness and pain which may he accompanied by arrhythmia and MI and appear to be due to coronary vasospasm.